"Eutectic mixture" is
1. 5% Lignocaine + 5% prilocaine
2. 2.5% Bupivacaine + 2.5 % Prilocaine
3. 2.5% lignocaine + 2.5 % prilocaine
4. 1% Lignocaine + 1% Prilocaine

Correct answer: 3. 2.5% lignocaine + 2.5 % prilocaine

Explanation: Eutectic mixture is topical applied to skin and mucous membrane and only superficial area is anesthelized, combination of 2.5% lignocanie & 2.5% prilocaine lowers each others melting point & is used as Eutectic mixture.